CVP denotes pressure of:
1. Left ventricle
2. Left atrium
3. Right ventricle
4. Right atrium

Correct answer: 4. Right atrium

Explanation: Ans. D: Right atriumCentral venous pressure denotes pressure in the great veins at their entrance into the right atrium and averages 4.6 mm Hg.Pressure in larger veins outside thorax:5.5 mm Hg Pressure in the venules:12-18 mm Hg